All of the following are indications for eicosanoids or their inhibitors EXCEPT :
1. Abortion
2. Essential hypertension
3. Patent ductus arteriosus
4. Transposition of the great arteries

Correct answer: 2. Essential hypertension